A child has phocomelia. This is due to drug taken by mother aEUR'
1. Tetracycline
2. Thalidomide
3. Warfarin
4. Chloroquine

Correct answer: 2. Thalidomide

Explanation: Thalidomide [Ref Katzung Ile p. 1029, : K.D.T. 6/e p. 85 www.mayoclinic.com/health/thalidomide, Harrison 17/e p 11821 Thalidomide is the worst teratogen known in the history of medicine. It was widely used as sedative and hypnotic. It was also believed to reduce vomiting in pregnancy. - It was a routine hypnotics in hospitals, was even recommended whelp children adapt themselves to a convalescent home atmosphere. - The indiscrete use of these drugs in pregnant women resulted in an outbreak of phocomelia. Phocomelia means "seal extremities", it is a congenital deformity in which the long bones of the limbs are defective and substantially normal or rudimentary hands and feet arise on or nearly on the trunk like the flippers of seal. Thalidomide was subsequently banned. Now, decades later thalidomide has received approval from the food and drug administration in certain conditions. According to Indian Journal of pharmacology Clinical uses of thalidomide -AIDS related aphthous ulcersQ - AIDS related wasting syndromeQ - Multiple myeloma and other solid tumoursQ - Prevention of graft versus host disease after transplantationQ - Rheumatoid arthritisQ - Ankylosing spondylitisQ - Crohn's disease and Becher's syndromeQ - Erythema nodosum leprosum0